Adenoma sebaceum is seen in
1. Scleroderma
2. Tuberous sclerosis
3. SLE
4. Systemic sclerosis

Correct answer: 2. Tuberous sclerosis

Explanation: i.e. (Tuberous sclerosis): (96Q-CMDT-11) (1798 -1000-H17th)* Adenoma sebaceum subungual fibromas, shagreen patches (leathery plaques of subepidermal fibrosis) and leaf shaped hypopigmented spots - cutaneous abnormalities seen in TUBEROUS - SCLEROSIS* Renal abnormalities includes - Renal cysts, Angiolipomas, Renal cell carcinoma***TUBEROUS - SCLEROSIS* TS - is an Autosomal dominant inheritance* *** Mutations that inactivating in either the TSCJ gene encoding tuberin or the TSC2 gene encoding hamartin* CNS hamartomas can cause seizures, intellectual disability and autism* Associated abnormalities includes - retinal lesions, benign rhabdomyomas of the heart, lung cysts, benign tumours in the viscera and bone cysts* Classical Triad -(i) Seizures(ii) Intellectual disability(iii) Adenoma sebacium* The characteristic brain lesion is a "Cortical Tuber" The most common neurological manifestations include seizures, cognitive impairment and behavioral abnormalities including autism